A child was given leukotriene receptor antagonist for prophylaxis of asthma. The drug is -
1. Monteleukast
2. Zileuton
3. Nedocromil
4. Verpami I

Correct answer: 1. Monteleukast

Explanation: Ans. is 'a' i.e., Monteleukast o Monteleukast and zafirleucast are cystenyl LT, (cys LT,) receptor antagonists.